Muscle crossing through the shoulder joint is:
1. Biceps short head
2. Biceps long head
3. Triceps long head
4. Coracobrachialis

Correct answer: 2. Biceps long head

Explanation: B i.e. Biceps long head The tendon of the long head of biceps brachii muscle passes superiorly through the jointQ and restricts upward movement of humeral head on glenoid cavity.